Dysphagia lusoria is caused by?
1. Abdominal aorta
2. Thoracic aorta
3. Aberrant right subclavian artery
4. None of the above

Correct answer: 3. Aberrant right subclavian artery

Explanation: Ans. (c) Aberrant right subclavian arteryRef: Srb's Manual of Surgery by SriramBhat p 720